Senile plaques in brain is a feature of
1. Multiple sclerosis
2. Parkinsonism
3. Alzheimer's disease
4. Wilson's disease

Correct answer: 3. Alzheimer's disease